Which of the following Staphylococcal infection is not toxin mediated:
1. Toxic shock syndrome
2. Scalded skin syndrome
3. Food poisoning
4. Septic shock

Correct answer: 4. Septic shock

Explanation: Ans. is (d) Septic shock Toxin mediated illness of S. Disease Toxin involved - Toxic shock syndrome Toxic shock syndrome toxin - Food poisoning Enterotoxin - Staphylococcal scalded skin syndrome Exfoliative/epidermolytic toxin Note: Septic shock is due to bacteremia.